What is the diagnostic radiological finding in skeletal fluorosis?
1. Sclerosis of sacroiliac joint
2. Interosseous membrane ossification
3. Osteosclerosis of vertebral body
4. Ossification of ligaments of knee joint

Correct answer: 2. Interosseous membrane ossification

Explanation: Skeletal fluorosis is a bone disease caused by excessive accumulation of fluoride in the bones Osteosclerosis, osteophytosis and ossification of ligamentous and fascial attachments is characteristic of fluorosis and amongst them most important is Interosseous membrane ossification.